Not true about anterior dislocation hip
1. Femoral nerve is more commonly injured
2. Limb rotated laterally
3. Associated with lengthening of limb
4. Associated with shortening of limb

Correct answer: 4. Associated with shortening of limb